Permanent deformation following strain in compression in increasing order for elastomers
1. Addition silicone, condensation silicone, polyether, poly sulphide
2. Poly sulphide, poly ether, Addition silicone, condensation silicone
3. Poly sulphide, poly ether, condensation silicone, Addition silicone
4. Polyether, poly sulphide, addition silicone, condensation silicone

Correct answer: 1. Addition silicone, condensation silicone, polyether, poly sulphide